Herbeden's arthropathy affects
1. Lumbar spine
2. Symmetrically large joints
3. Sacroiliac joints
4. Distal interphalangeal joints

Correct answer: 4. Distal interphalangeal joints

Explanation: Answer is D (Distal interphalangeal joints) Herbeden's nodes or bony enlargement of distal interphalangeal joints are the most common form of idiopathic osteoarthritis Bouchard's nodes lierbeden's nodes Bony enlargement of PIP joint in Bony enlargement of DIP joint in osteoarthritis